In centrilobular (centriacinar) emphysema, there is an abnormal, permanent enlargement of the -
1. Respiratory bronchioles
2. Alveolar ducts
3. Small bronchi
4. Bronchioles

Correct answer: 1. Respiratory bronchioles

Explanation: . Respiratory bronchioles